A 5-year old child presented with fever, fatigue, abdominal pain and vomiting. On further history evaluation, he had a habit of eating dirt. Investigations shows visceral larva migrans. Communication with the following agent must have caused this infection in this child:
1. Pig
2. Dogs
3. Monkeys
4. Cows

Correct answer: 2. Dogs

Explanation: The agent for Toxocariasis (visceral larva migrans) is the cosmopolitan intestinal ascarid of dogs and cats, Toxocara canis or Toxocara cati. The eggs passed by infected animals contaminate parks and other areas that young children frequent. Children with pica are at increased risk. Ingested eggs hatch and penetrate the intestinal wall, then migrate to the liver. Ref: Dominguez S.R., Levin M.J. (2012). Chapter 43. Infections: Parasitic & Mycotic. InHay W.W., Jr, Levin M.J., Deterding R.R., Abzug M.J., Sondheimer J.M. (Eds),CURRENT Diagnosis & Treatment: Pediatrics, 21e.